Which of the following lead to an outbreak of Influenza in China in 2013?
1. H7N9
2. H3N2
3. H1N1
4. H2N2

Correct answer: 1. H7N9